Which of the following is an inhibitor of platelet aggregation?
1. Leukotriene A4
2. Prostacyclin
3. Thromboxane A2
4. Protaglandin H2

Correct answer: 2. Prostacyclin

Explanation: Endothelial Cells Synthesize Prostacyclin & Other Compounds That Affect Clotting & ThrombosisThe endothelial cells in the walls of blood vessels make important contributions to the overall regulation of hemostasis and thrombosis.these cells synthesize the prostanoid prostacyclin (PGI2), a potent inhibitor of platelet aggregation.Prostacyclin acts by stimulating the activity of adenylyl cyclase in the surface membranes of platelets its G protein-coupled receptor.The resulting increase of intraplatelet cAMP opposes the increase in the level of intracellular Ca2+ produced by IP3 and thus inhibits platelet activation.Reference: Harper biochemistry30th edition page no 720